Which of the following processes involve caspase 1 and 11 activation?
1. Necrosis
2. Necroptosis
3. Apoptosis
4. Pyroptosis

Correct answer: 4. Pyroptosis

Explanation: Pyroptosis isa highly inflammatory form of programmed cell death that occurs in cells infected by microbes. It involves activation of caspase-1 which cleaves the precursor form of IL-1 to generate biologically active IL-1. Caspase-1 along with closely related caspase-11 also cause death of the infected cell. Necroptosis: - It is a caspase independent programmed cell death. Apoptosis: -. The mitochondrial pathway (Intrinsic)leads to activation of the initiator caspase-9, and the death receptor pathway (Extrinsic) to the initiator caspases-8 and 10.